True about pitryiasis alba :
1. No active treatment required
2. Common in elderly
3. Variant of vitiligo
4. All

Correct answer: 1. No active treatment required

Explanation: A i.e. No active treatment required Pityriasis alba characteristically presents with recurrent scaly hypopigmented macules on cheeks and face of young childrenQ. It requires no active treatment (i.e. assurance only).